All of the following are principles of primary health care, except
1. Equitable distribution
2. Intersectoral coordination
3. Appropriate technology
4. Political participation

Correct answer: 4. Political participation

Explanation: Principles of primary health care Equitable distribution Community participation Intersectoral coordination Appropriate technologyPark 23e pg: 892